The principle that states 'when any two objects come into contact, there is always a transfer of material from each object on the other' is called?
1. Locard's principle
2. Quetelet's rule
3. McNauton's principle
4. Gettler's principle

Correct answer: 1. Locard's principle

Explanation: When any two objects come into contact, there is always a transfer of material from each object on the other. This called Locard's exchange principle. Ref: The Essentials of Forensic Medicine & Toxicology Dr.K.S.Narayan Reddy, 29th Edition, Page 442